Infra -red rays causes :
1. Cataract
2. Keratitis
3. Optic neuritis
4. Glaucoma

Correct answer: 1. Cataract

Explanation: Infra red rays affects primarily the retina, because of the transparency of the ocular media.
When directly viewing a point surce or laser beam, the focusing properties in the IRA region additionally render the retina much more susceptible to damage than any other part of the body.
For short exposure periods, heating of the iris from the absorption of visible or near infrared is considered to play a role in the development of opacities in the lens.